4th Ventricle develops from
1. Telencerphalon
2. Mesencephalon
3. Diecephalon
4. Rhombencephlon

Correct answer: 4. Rhombencephlon

Explanation: Inderbir Singh's Human embryology Tenth edition Pg 321 The cavity of mesencephalon remains narrow and forms the aqueduct while the cavity of rhombencephalon forms the fourth ventricle